If tyrosine level in blood is normal without external supplementation, deficiency of which of the following is ruled out -
1. Tryptophan
2. Phenylalanine
3. Histidine
4. Isoleucine

Correct answer: 2. Phenylalanine

Explanation: Ans. is 'b' i.e., Phenylalanine o TyTosine is synthesized from phenylalanine.o In phenylalanine deficiency or in disorders in which phenylalanine cannot be converted into tyrosine (phenylketonuria), tyrosine becomes an essential amino acid and should be supplemented from outside.